How much time later should ROP screening be done for a 2 week old baby being treated in NICU for sepsis, who was born at 28 wk gestation?
1. 2 weeks
2. 4 weeks
3. 6 weeks
4. 8 weeks

Correct answer: 1. 2 weeks

Explanation: First screening - carried out at 32 weeks of post menstrual age (PMA) or 4 weeks of postnatal age, whichever is later In the given scenario, baby is born at 28 week gestation, so 1st screening should be done at 4 weeks postnatal age i.e 32 weeks PMA As the baby is already 2 weeks old screening for ROP should be done 2 weeks later.